38 years old Mala has Pap smear suggestive of HSIL.Colposcopy directed biopsy can reveal all, EXCEPT:
1. CIN-1
2. CIN-2
3. CIN-3
4. Cainsitu

Correct answer: 1. CIN-1

Explanation: Ans. is 'a' i.e., CIN-1 * As per Bethesda system:# Low-grade squamous intraepithelial lesion (L-SIL) = CIN I# High-grade squamous intraepithelial lesion (H-SIL) = CIN II/CIN III/CIS